Pleural tapping in the mid-axillary line, muscle not pierced is
1. Internal intercostal
2. External intercostal
3. Inner most intercostal
4. Transversus thoracis

Correct answer: 4. Transversus thoracis

Explanation: The transversus thoracis muscle is a thin muscle on the inner surface of the anterior thoracic wall. It doesnot extend till mid axillary line, hence no question of piercing . Image ref- researchgate.net